In case control study of buccal carcinoma:
1. CA is commoner in zarda pan users than non-users
2. Zarda pan is a cause of buccal CA
3. Zarda pan is associated with buccal CA
4. If use of zarda pan is stopped, number of cases will reduce

Correct answer: 3. Zarda pan is associated with buccal CA

Explanation: Ans. is 'c' i.e. Zarda pan is associated with buccal Ca. In a case control study, case and effect relationship is not established, we only get to know about associated factors.